Syphilis was first identified b-
1. Fraenkel
2. Nicolaicu
3. Schaudinn & Hoffman
4. Ogston

Correct answer: 3. Schaudinn & Hoffman

Explanation: Ans. is 'c' i.e., Schaudinn and Hoffmann